Which of the following variants of hypoxia does not stimulate peripheral chemoreceptors
1. Hypoxic hypoxia
2. Anaemic hypoxia
3. Stagnant hypoxia
4. Histotoxic hypoxia

Correct answer: 2. Anaemic hypoxia

Explanation: Peripheral chemoreceptors get activated at low PaO2. It is normal in anaemic hypoxia, histotoxic hypoxia and stagnant hypoxia. In the case of histotoxic hypoxia, the receptors are unable to utilize the oxygen, whereas in stagnant hypoxia the oxygen reaching the receptors are low. Thus, in both of them, the receptors get activated.